Sternohyoid is supplied by
1. CI through hyoid glossal nerve
2. Ansa cervicalis
3. Glossopharyngeal nerve
4. Hypoglossal nerve

Correct answer: 2. Ansa cervicalis

Explanation: The ansa cervicalis or ansa hypoglossal is a thin nerve loop that lies embedded in the anterior wall of the carotid sheath over the lower part of the larynx.It supplies the infrahyoid muscles. Distribution Superior root:To the superior belly of the omohyoid. Ansa cervicalis:To the sternohyoid,the sternothyroid and the inferior belly of the omohyoid. The throhyoid and geniohyoid are supplied by seperate branches from the first cervical nerve through the hypoglossal nerve. REF.BDC VOL.3,FIFTH EDITION